A commonest psychological feature of AIDS -
1. Depression
2. Mania
3. Suicidal tendency
4. None

Correct answer: 1. Depression

Explanation: Depression is the most common psychiatric manifestation in patients with AIDS, hypothyroidism (Myxedema), post-partum psychosis, and after an attack of MI.